Tachycardia, nervousness, intolerance to heat and exophthalmos are seen in:
1. Hyperthyroidism
2. Hypothyroidism
3. Hyperparathyroidism
4. Hypoparathyroidism

Correct answer: 1. Hyperthyroidism